Gypsum product having least expansion:
1. Impression plaster
2. Model plaster
3. Stone plaster
4. Die stone

Correct answer: 4. Die stone

Explanation: DENTAL STONE, HIGH STRENGTH (TYPE IV)
The principal requisites for a die material are strength, hardness, and minimal setting expansion. To obtain these properties, modified α-hemihydrate is used. The cube-shaped particles and the reduced surface area produce such properties without undue thickening of the mix. This material is also called die stone.